Wilm's tumor associated with all except
1. WAGR
2. Beckwith Weidman
3. Dennis dash
4. Digeorge syndrome

Correct answer: 4. Digeorge syndrome

Explanation: Answer- D. Digeorge syndromeThese are -WAGR syndromeDenys - Drash syndromeBeckwith - Wiedeman syndrome